What is the age of tendon transfer in post polio residual paralysis
1. <6 months
2. 1 year
3. 2 years
4. >5 years

Correct answer: 4. >5 years

Explanation: Answer- D. >5 yearsThe available musclepower is redistributed either to equalize an unbalanced paralysis, or to use the motorpower for a more useful function.Transfer of extensor hallucis longus (EHL) from the distal phalanx of great toe to the neck of the first metatarsal (modified Jone's operation). This is done to correct first metatarsal drop in case of tibialis anterior muscle weaknessTransfer of peronius tertious and brevis muscles (evertors oi the foot) to the dorsum of the foot. The transfer is required in a foot with dorsiflexor weakness. Evertors can be spared for more useful function of dorsiflexion of the footHamstring (knee flexors) transfer to the quadriceps muscle to support a weak knee extensor